Which of the following is both synthesized and stored in the hypothalamus?
1. ADH
2. Thyroid-stimulating hormone (TSH)
3. LH
4. Somatostatin

Correct answer: 4. Somatostatin

Explanation: The inhibitory hormone Somatostatin is both synthesized and stored in the hypothalamus. Both TSH and LH are synthesized and stored in the anterior pituitary gland. ADH is synthesized in the hypothalamus but is stored in the posterior pituitary gland. Somatomedin (IGF-1) is synthesized in the liver